Ideal screening test should be-
1. Safe
2. Reliable
3. Valid
4. All of the above

Correct answer: 4. All of the above

Explanation: Ans. is 'd' i.e., All of the above * The criteria for screening are based on two consideration : (i) Disease to be screened, and (ii) Screening test to be applied.A) Disease to be screened# The disease should be an important health problem with a recognizable latent or asymptomatic stage.# There should be a test (screening test) which can detect the disease prior to clinical stage, with also availability of a diagnostic (confirmatory) test.# There should be an effective treatment which should reduce morbidity and mortality if started early.B) Screening test to be applied# The screening test to be applied should fulfil following criteria1) Acceptibility* The test should be acceptable to the people whom it is aimed.2) Repeatability (reliability)* The test must give consistent results when it is repeated more than once on the same individual under same condition, i.e. results of test must by precise (exact).* Thus, repeatability is also known as precision, reliability or reproducibility.3) Validity (accuracy)* It refers to what extent the test accurately measures which is purports to measure.* Validity has two componens :i) Sensitivityii) Specificity.* A test should have high sensitivity and specificity.Accuracy = (Sensitivity) (Prevalence)----------------------(Specificity) (1-Prevalence) Accuracy =True positive + True negative--------------------------------------------------------True positive + False positive + True negative + False negative4) Others* Other important criteria are: Simplicity, rapidity, low cost (cost effectiveness), safety, and ease of administration.